Condyloma acuminata in pregnancy is treated by:
1. Podophyllin
2. Podophyllin toxin
3. Trichloroacetic acid
4. 5-FU cream

Correct answer: 3. Trichloroacetic acid

Explanation: Ans. C. Trichloroacetic acidTreatment of condyloma -acuminata - (verruca-genital is)a. Podophyllum is effective only on the genital wartsb. Podophyllum is potentially toxic and must be avoided in during pregnancyc. Chemical cauterization is usually done with liquified phenol or concentrated trichloroacetic acid